Which of the following has the highest percentage of polyunsaturated fatty acids?
1. Margarine
2. Soya bean oil
3. Palm oil
4. Ground nut oil

Correct answer: 2. Soya bean oil

Explanation: Among the given options, soya bean oil has the highest percentage of poly unsaturated fatty acids. Linoleic and linolenic acids are examples of poly unsaturated fatty acids. Soya bean oil has about 51% linoleic acid and 7% of linolenic acid. Linoleic acids is the most important essential fatty acid. Ref: Park's Textbook of Preventive and Social Medicine 19th Edition; pages 482 - 483.